CSF glucose levels are normal in which type of meningitis:
1. Viral
2. Pyogenic
3. Tubercular
4. Carcinomatous

Correct answer: 1. Viral